Metastasis to heart are mostly from -
1. Breast
2. Prostate
3. Ovary
4. All

Correct answer: 1. Breast

Explanation: Ans. is 'a' i.e., Breast o Tumors metastatic to the heart are much more common than primary tumors. o The most common tumors metastatizing to heart are lung and breast. o Other tumors are malignant melanoma, lymphoma and leukemias.